Which of the following group of drugs are a
neuromuscular blocking agents
1. Choline, adrenaline and amphetamine
2. Glycinium, neostigmine and physostigmine
3. Pancuronium, rocuronium
4. Pirenzipine, propanolol and propantheline

Correct answer: 3. Pancuronium, rocuronium